Mitochondria is involved in all of the following, except:
1. ATP production
2. Apoptosis
3. Tricarboxylic acid cycle
4. Fatty acid biosynthesis

Correct answer: 4. Fatty acid biosynthesis

Explanation: Ans. is 'd' i.e. Fatty acid biosynthesisRef Harper; 25th/e, p 230 (24th/e, p216); Robbins illustrated, 6th/e, p21Its very well-known fact that fatty acid synthesis occurs in the cytosolHarper writes - - "The main pathway for de novo synthesis of fatty acid occurs in cytosol"The biochemical processes which take place in the mitochondria are l) TCA or kreb's cycle } ATP production ii) Fatty acid oxidation} iii) Formation of acetyl CoAPart of Urea cyclePart of gluconeogenesisNow coming to the controversial option 'Apoptosis. The below given lines from Robbins clearly indicate the involvement of mitochondria in the apoptotic process."Apoptosis is programmed cell death. Death agonists can generate signals that affect mitochondria in the following two ways.Apoptotic signals result in change in mitochondrial permeability. Formation of pores within the inner mitochondrial membrane results in reduction of membrane potential and mitochondrial swelling.The signals also cause increased permeability of outer mitochondrial membranes releasing an apoptotic trigger cytochrome cy from mitochondria into the cytosolCytochrome-c is located between the inner and outer mitochondrial membranes and is an integral but soluble component of respiratory pathway."RememberThe intracellular localization of some key biochemical reactions: -CytoplasmGlycolysis*- HMP shunt*Protein synthesis *Fatty acid synthesis*Part of urea cycle*Part of gluconeogenesis*Golgi apparatusSynthesis and packaging of complex molecules including glycolipids, glycoproteins and lipoproteins.NucleusDNA and RNA synthesisLysosomesDegradation of complex molecules.